Which is true of KFD?
1. Transmitted by tick
2. It is arboviral infection
3. Also known as monkey disease
4. All of the above.

Correct answer: 4. All of the above.

Explanation: Kyasanur forest disease: KFD is an example of tick-borne hemorrhagic fever. It was first reported in Kyasanur forest of Karnataka, Shimoga district, n 1957. Vector: Hard ticks (Haemaphysalis spinigera). Hosts: Reservoirs are the rats and squirrels, Amplifier hosts are the monkeys (KFD is known as Monkey's disease). Man is an incidental host and considered as dead end. Clinical Manifestation: Incubation period varies from 3-8 days. First stage (hemorrhagic fever) occurs followed by second phase of meningoencephalitis. Killed KFD vaccine: It is recommended in endemic areas of Karnataka (all villages within 5 km of endemic foci).